Insulin caused lipogenesis by all except?
1. Increasing acetyl-CoA corboxylase activity.
2. Increases the transport of glucose in to the cells
3. Inhibits Pyruvate dehydrogenase
4. Decreases intracellular cAMP level

Correct answer: 3. Inhibits Pyruvate dehydrogenase